Which among the following statements is true regarding posts in Endodontics
1. They strengthen the tooth structure
2. Provide retention for the core
3. They stabilize a periodontally compromised tooth
4. Posts preserve the remaining tooth structure

Correct answer: 2. Provide retention for the core